Compared to breast milk colostrum is rich with :
1. Protein
2. Fat
3. Lactose
4. Water

Correct answer: 1. Protein

Explanation: Colostrum
Colostrum is the first stage of breast milk that occurs during pregnancy and lasts for several days after the birth of the baby.
It is either yellowish or creamy in color. It is also much thicker than the milk that is produced later in breastfeeding.
Colostrums is high in protein, fat-soluble vitamins, minerals, and immunoglobulins. Immunoglobulins are antibodies that pass from the mother to the baby and provide passive immunity for the baby.
. Passive immunity protects the baby from a wide variety of bacterial and viral illnesses. 2-4 days after birth, colostrums will be replaced by transitional milk.